Triple antibiotic paste is applied at
1. CEJ
2. Apical to CEJ
3. Cementodentinal junction
4. Coronal to CEJ

Correct answer: 2. Apical to CEJ